Most common site for gastrinoma -
1. Duodenum
2. Pylorus
3. Antrum
4. Colon

Correct answer: 1. Duodenum

Explanation: Ans. is 'a' i.e., DuodenumUpto 50% gastrinoma are found in duodenum.